A shift of posture from supine to upright posture is associated with cardiovascular adjustments. Which of the following is NOT true in this context:
1. Rise in central venous pressure
2. Rise in heart rate.
3. Decrease in cardiac output.
4. Decrease in stroke volume

Correct answer: 1. Rise in central venous pressure

Explanation: A i.e. Rise in central venous pressure On assumption of erect posture, the force of gravity opposes the return of blood incentral venous pressure)Q